A female patient, who is a known case of Gout, comes for follow up and her laboratory results show that her serum uric acid is elevated. Her physician decided to put her on a chronic drug therapy to lower down her uric acid levels. Which of the following drugs is most suitable for her?
1. Aspirin
2. Colchicine
3. Allopurinol
4. Hydroxychloroquine

Correct answer: 3. Allopurinol

Explanation: Allopurinol is the drug of choice for chronic gout. It lowers down the production of uric acid by inhibiting the enzyme xanthine oxidase. Hydroxychloroquine has no effect on metabolism of uric acid. Colchicine is used to relieve symptoms of acute gout. It does not decrease the formation of uric acid. Aspirin should not be used in gout because it slows down secretion of uric acid in kidney. Hence, it increases its accumulation in blood.